Cataract in galactosemia is caused by accumulation of:
1. Sorbitol
2. Galactitol
3. Galactose
4. None of the above

Correct answer: 2. Galactitol

Explanation: Inability to metabolize galactose occurs in the galactosemia, which may be caused by inherited defects of galactokinase, uridyl transferase, or 4-epimerase, though deficiency of uridyl transferase is the best known. Galactose is a substrate for aldose reductase, forming galactitol, which accumulates in the lens of the eye, causing cataract. Ref: Harper 28th edition, chapter 21.